All of the following are true about HMG CoA reductase inhibitors except:
1. CNS accumulation of simvastatin and lovastatin is high and less for pravastatin and fluvastatin
2. Simvastatin is rapidly and pravastatin  is least metabolized.
3. Bioavailability is minimally modified when pravastatin is taken with food
4. Fibrinogen levels are increased by pravastatin

Correct answer: 4. Fibrinogen levels are increased by pravastatin